All of the following are mature defense mechanisms except-
1. Anticipation
2. Suppression
3. Projection
4. Humor

Correct answer: 3. Projection

Explanation: Ans. is 'c' i.e. Projection o Projection is a narcissistic defense mechanism.Defence mechanismsNarissistic/PsychoticImmatureNeuroticMatureo Denialo Distortiono Projectiono Blockingo Introjectiono Passive - Aggressive behavioro Acting outo Hypochondriasiso Regressiono Schizoid fantasyo Somatizationo Controllingo Displacemento Inhibitiono Extemalizationo Intellectualizationo Rationalizationo Dissociationo Reaction formationo Repressiono Sexualizationo Conversiono Undoingo Inhibition (Aim inhibition)o Asceticismo Suppressiono Altruismo Sublimationo Humoro Antipation